A patient with multiple hypopigmented & hypesthetic patches on lateral aspect of forearm with abundance of AFB and granulomatous inflammation on histology. The diagnosis is
1. Tuberculoid leprosy
2. Indetermediate leprosy
3. Borderline leprosy
4. Lepromatous leprosy

Correct answer: 3. Borderline leprosy

Explanation: C i.e. Border line leprosy